Which of the following is NOT true regarding Vasa Previa?
1. Found with with velamentous cord insertion
2. APT TEST is the investigation of choice for diagnosing Vasa Previa
3. Very high perinatal mortality as blood loss is exclusively fetal
4. An urgent cesarean is usually the best option to save the fetus

Correct answer: 2. APT TEST is the investigation of choice for diagnosing Vasa Previa

Explanation: Vasa previa: This finding is associated with velamentous insertion when some of the fetal vessels in the membranes cross the region of the cervical os below the presenting fetal part. Marginal cord insertions and bilobed or succenturiate-lobed placentas are also associated with vasa previa. Color Doppler is the investigation of choice. With vasa previa, there is considerable potential fetal danger because membrane rupture may be accompanied by tearing of a fetal vessel. This is a/w very high perinatal mortality as there is exclusive fetal blood loss. Low-lying placenta is a risk factor in 80% of cases. Patients of vasa previa should be delivered by elective LSCS. The Apt test is a medical test used to differentiate maternal and fetal blood. A positive test would indicate that blood is of fetal origin, and could be due to vasa previa. A negative test indicates that the blood is of maternal origin. In practice, the Apt test is almost never done when there is bleeding PV and a suspicion of vasa previa, because the time to fetal collapse with bleeding from vasa previa is often very short.